Which of the following causes increased rennin on prolonged use ?
1. Clonidine
2. Enalapril
3. Methyldopa
4. Blocker

Correct answer: 2. Enalapril

Explanation: Ans. is 'b i.e., Enalapril